Reflex hallucination is a morbid variety of:
1. Kinesthesia
2. Parasthesia
3. Hyperesthesia
4. Synaesthesia

Correct answer: 4. Synaesthesia

Explanation: Reflex hallucination is a morbid variety of synaesthesia. Synaesthesia is the experience of a stimulus in one sensory modality producing sensory experience in another. For example music provoking onset of a visual hallucination. Types of hallucinations: Auditory: It may be experienced as noises, music or voices. Visual Olfactory and gustatory Tactile or haptic : It may be experienced as sensation of being touched, prickled or strangled. Autoscopic: It is the experience of seeing ones own body projected into external space usually in front of oneself for short periods. Reflex hallucination Ref: Shorter Oxford Textbook of Psychiatry By Philip Cowen, page 7.